Diacetylmonoxime are contraindicated in which poisoining ?
1. Malathion
2. Parathion
3. Propxur
4. TIK-20

Correct answer: 3. Propxur

Explanation: Oximes are used to restore neuromuscular transmission only in case of organophosphate poisoning. These act by reactivating AchE enzyme. 2 oximes : PAM (Pralidoxime) - It only acts in periphery and does not enter brain. DAM (Diacetylmonoxime) - Acts in periphery as well as in brain. Oximes are not useful in case of carbamate posionings (eg. physostigmine, neostigmine, carbaryl, propoxur) because here the anionic site of the enzyme is not free to provide attachment to it. It is rather contraindicated in carbamate poisoning, because it has weak anti-ChE activity of its own too.